What is the treatment of threshold ROP ?
1. Laser photocoagulation
2. Slow reduction in oxygen
3. Retinal reattachment
4. Antioxidants

Correct answer: 1. Laser photocoagulation